Single pelvic ala is seen in
1. Robert's pelvis
2. Naegele's pelvis
3. Osteomalacia pelvis
4. Rickets pelvis

Correct answer: 2. Naegele's pelvis

Explanation: Naegele's pelvis - Ala on one side is absent Robert's pelvis - Ala on both sides are absent Osteomalacic pelvis - the shape of inlet is triradiate Rachitic pelvis - shape of inlet is reniform